Most common cranial nerve involved in CSOM is -
1. V
2. VII
3. IX
4. XI

Correct answer: 2. VII

Explanation: Ans. is 'b' i.e., VII Complications of otitis mediaa. Extracranial complicationsb. Intracranial complicationso Mastoiditiso Petrositis/Gradenigo syndromeo Facial paralysiso Labyrinthitiso Osteomyelitis of temporal boneo Septicaemia or pyaemiao Meningitiso Extradural abscesso Subdural abscesso Otogenic Brain Abscesso Lateral sinus thrombophlebitiso Otitic hydrocephalus